Agent which dissolves rubber
1. Halothane
2. Enflurane
3. Cyclopropane
4. Ether

Correct answer: 1. Halothane

Explanation: A i.e. Halothane